All of the following are true for Yersinia pestis EXCEPT:
1. Gram positive
2. Non motile
3. Non sporing
4. Pleomorphic

Correct answer: 1. Gram positive

Explanation: Ans. A i.e. Gram positive Yersinia pestis is short, plump, Gram-negative with rounded end and convex sides.